Tetanus is caused by:
1. Gram positive bacilli
2. Gram negative bacilli
3. Gram positive cocci
4. Gram negative cocci

Correct answer: 1. Gram positive bacilli

Explanation: Ans. is. 'a' i. e. Gram positive bacilli